Equinus deformity refers to ?
1. Inversion of foot
2. Eversion of foot
3. Plantar flexion at ankle
4. Dorsi flexion at ankle

Correct answer: 3. Plantar flexion at ankle

Explanation: Equinus deformity refers to plantar flexion at ankle joint with inability to do dorsi-flexion.It may be either congenital or acquired.Most common cause is contracture of gostracnemius or soleus or both.